Which suture is absorbed in 180 days -
1. Polydiaxonone
2. Catgut
3. Chromic Catgut
4. Nylon

Correct answer: 1. Polydiaxonone

Explanation: Ans. is 'a' i.e., Polydiaxonone o Polydioxanone suture provides wound support for longer period as compared to other synthetic absorbable sutures. Polydioxanone suture also offers far superior tensile strength. Polydioxanone suture is made from polymerizing para dioxanone monomer. PDS sutures provide wound support for longer periods up to 50 days and offers far superior tensile strength and outstanding pliability. Its monofilament structure provides good handling properties and excellent knot security. Absorption of suture is by simple hydrolysis within 180 days from implantation day. Absorption of polydioxanone suture is reliable and predictable.